Which of the following soft tissue tumor has characteristic nuclear palisading pattern?
1. Fibrosarcoma
2. Embryonal Rhabdomyosarcoma
3. Synovial sarcoma
4. Schwannoma

Correct answer: 4. Schwannoma

Explanation: Pecular alignment of nuclei into parallel rows is called nuclear palisading. The bands of palisading nuclei alternated with clear zones devoid of nuclei is together called veroccy bodies. All this characteristic histological finding is Schwannoma.